Which is not a feature of Skeletal muscle
1. Spindle shaped fibres
2. Syncytium
3. Striations
4. Hypolemmal nucleus

Correct answer: 1. Spindle shaped fibres

Explanation: Microscopic Features of skeletal muscles - Skeletal muscle is made up essentially of long, cylindrical 'fibres'. The length of the fibres is highly variable, the longest being as much as 30 cm in length. The diameter of the fibres also varies considerably (10-60 um; usually 50-60 um). Each 'fibre' is really a syncytium with hundreds of nuclei along its length (The 'fibre' is formed, during development, by fusion of numerous myoblasts). The nuclei are elongated and lie along the periphery of the fibre, just under the cell membrane (which is called the sarcolemma). The cytoplasm (or sarcoplasm) is filled with numerous longitudinal fibrils that are called myofibrils. The most striking feature of skeletal muscle fibres is the presence of transverse striations in them. REF : Inderbir Singh's Textbook of Human Histology, seventh edition, pg.no., 108, 109.